Sensitivity is -
1. True positive/true positive + false negative
2. True positive/false positive + true negative
3. True negative/true negative + false positive
4. True negative/false negative + true positive

Correct answer: 1. True positive/true positive + false negative

Explanation: Ans. is 'a' i.e., True positive/true positive + false negative Sensitivity =Number of true positive--------------------------------------------Number of true positives + Number of false negative